Green extra-articular arthrodesis done for
1. Genu Valgum
2. Coxa vara
3. Congenital vertical talus
4. Cubitus varus

Correct answer: 3. Congenital vertical talus

Explanation: Grice and Green procedure is an extra articular fusion (arthrodesis) of the subtalar jointIt is used in the treatment of patients of congenital vertical talus between age of 4 to 8 years old along with open reduction of the deformity.(Refer: Mohindra's Fundamentals of Orthopedics, 2nd edition, pg no. 346, 349)